Krause end bulbs are specialised receptors for
1. Cold
2. Pain
3. Touch
4. Heat

Correct answer: 1. Cold